What is the investigation of choice for the ureteric stone?
1. CT scan
2. USG
3. MIBG scan
4. DMSA scan

Correct answer: 1. CT scan

Explanation: All of the routine methods have become less useful with the advent of more sensitive and specific nonenhanced computed tomography (CT) scanning. When CT is available, it is now considered the examination of choice for the detection and localization of urinary stones.